Following is a laparoscopic technique in inguinal hernia mesh repair
1. Lichtenstein
2. Stoppa
3. TEP
4. Desarda

Correct answer: 3. TEP

Explanation: Two Laparoscopic techniques are commonly used in hernia repairTotally extraperitoneal (TEP) approach Transabdominal preperitoneal (TAPP) approach.In TAPP, the surgeon enters the peritoneal cavity then incises the peritoneum above the hernia defects, and reflects it away from the muscles, essentially entering the preperitoneal spaceIn TEP, the surgeon is able to create a space just deep to the abdominal muscles without entering the peritoneal cavityRef: Bailey and love 27e pg: 1033